Prophylactic plasma concentration range of lithium in mEq does not include -
1. 0.5
2. 0.8
3. 0.6
4. 1

Correct answer: 4. 1

Explanation: Ans. is 'd' i.e., 1.0 Different serum concentrations have different effect : - Therapeutic level - 0.8-1.2 mEq/L (For t/t ofacute mania) Prophylactic level - 0.5-0.8 mEq/L (For relapse prevention in bipolar disorder) Toxic lithium levels > 2.0 mEq/L